"Abducent nucleus" is present in
1. Midbrain, at level of inferior colliculus
2. Medial medulla
3. Lateral medulla
4. Tegmentum of pons

Correct answer: 4. Tegmentum of pons

Explanation: The abducent nucleus (CN VI) is located in the dorsomedial tegmentum of the pons. fig:-crossection atthe level of lower pons